Reissner membrane seperates:
1. Scala Vestibuli from Scala media
2. Scala tympani from scale Vestibuli
3. Scala tympani from Scala media
4. None of the above

Correct answer: 1. Scala Vestibuli from Scala media

Explanation: Reissner membrane separates scala vestibule from scala media.